Sequential arrange the steps of intubation:a. Inflation of cuffb. Neck extension and flexionc. Check breath sounds with stethoscoped. Introduction of laryngoscope
1. b-d-a-c
2. c-b-d-a
3. d-c-b-a
4. a-d-c-b

Correct answer: 1. b-d-a-c

Explanation: Ans. A (b-d-a-c)(Ref: Millers Anesthesia 8th Ed; Page No- 1670)Sequence is neck extension and flexion - Laryngoscopy - Inhalation of Cuff - Check breath soundIf cuff deflated then leak is high so less sound on auscultation.Once the Endotracheal Tube is in place, the laryngoscope is removed from the mouth, the Endotracheal Tube cuff' is appropriately inflated, and the patient is manually ventilated while the Endotracheal Tube is manually held in place.